Which of the following drugs is useful in prophylaxis of migraine ?
1. Propranolol
2. Sumatriptan
3. Domperidone
4. Ergotamine

Correct answer: 1. Propranolol

Explanation: Ans. is 'a' i.e., Propranolol